Which of the following is not related to Epstein- Barr virus infection?
1. Infectious mononucleosis
2. Epidermodysplasia verruciformis
3. Nasopharyngeal carcinoma
4. Oral hairy leukoplakia

Correct answer: 2. Epidermodysplasia verruciformis

Explanation: Following disease are caused by EBV (Epstein Barr virus): * Infectious mononucleosis * Nasopharyngeal carcinoma * Burkitt's lymphoma * Hodgkin's disease * B-cell lymphoma * Hairy (oral) leukoplakia Ref: Ananthanarayana textbook of Microbiology 9th edition Pgno : 474